Drug of choice for primary syphilis is
1. Ampicillin
2. Benzathine penicillin
3. Erythromycin
4. Tetracycline

Correct answer: 2. Benzathine penicillin

Explanation: Ans. b (Benzathine penicillin). (Ref. Pharmacology KD Tripathi 5th/657, 673, 688; Harrison's Medicine 16th/980)Rx of SyphilisEarly & latent syphilisLate syphilis1.2 MU Procaine penicillin x 10 daysOR2.4 MU benzathine penicillin 1-3 weeklyBenzathine penicillin2.4 MU weekly for 4 weeksDrug used for treatment of syphilis# Penicillin# Erythromycin# Tetracycline# Cephalosporins.